Albuminocytological dissociation is associated with
1. Guillain-Barre syndrome
2. Subarachnoid haemorrhage
3. Pyogenic meningitis
4. Encephalitis

Correct answer: 1. Guillain-Barre syndrome

Explanation: (A) Guillain-Barre syndrome# GUILLAIN-BARRE SYNDROME> Diagnosis of GBS usually depends on findings such as rapid development of muscle paralysis, areflexia, absence of fever, and a likely inciting event.> Cerebrospinal fluid analysis (through a lumbar spinal puncture) and electrodiagnostic tests of nerves and muscles (such as nerve conduction studies) are common tests ordered in the diagnosis of GBS.> Typical CSF findings include albumino-cytological dissociation. As opposed to infectious causes, there is an elevated protein level (100-1000 mg/dL), without an accompanying increased cell count pleocytosis. A sustained increased white blood cell count may indicate an alternative diagnosis such as infection.